Which of the following mechanism is mainly responsible for gentamicin induced ototoxicity ?
1. Direct hair cell toxicity
2. Binding to and inhibition of hair cell Na+ K+ ATPase
3. Non–cumulative toxicity
4. Bind to Ca2+ channels

Correct answer: 1. Direct hair cell toxicity